Cetuxirnab (an EGFR antagonist) can be used in
1. Palliation in head and neck cancer
2. Anal canal ca
3. Gastric ca
4. Lung ca

Correct answer: 1. Palliation in head and neck cancer

Explanation: Palliation in head Neck cancer Cetuximab is a monoclonal antibody that acts against EGFR (Epidermal growth factor receptor). EGFR is a signalling protein that normally controls cell division. In some cancers this is altered to cause uncontrolled cell division. Cetuximab attaches itself to EGFR and prevents the receptor from being activated. This prevent the cancer cells from uncontrolled cell division. Cetuximab is a chimeric monoclonal antibody. Chimeric antibodies are formed using parts of mouse proteins and parts of human proteins. Uses of Cetuximab Head and Neck cancer Cetuximab was approved by FDA in march 2006 for use in combination with radiation therapy for treating squamous cell carcinoma of the head and neck or as a single agent in patients who had prior platinum based therapy. Colorectal cancer Cetuximab was approved by the FDA in 2004 for the treatment of EGFR positive metastatic colorectal cancer as a single agent in patients who could not tolerate irinotecan based therapy or in combination with irinotecan for refractory patient.